True about Delivery, of HIV +vewoman -
1. Vaginal delivery has lower risk for transmission of HIV to child than CS
2. Vaginal delivery has higher risk for transmission of HIV to child than CS
3. Instrumentation has no risk of increased infection
4. Vertical transmission is less in cases with preterm birth

Correct answer: 2. Vaginal delivery has higher risk for transmission of HIV to child than CS

Explanation: Ans.(b) Vaginal delivery has higher risk for transmission of HIV to child than CS Vaginal and emergency caesarean section deliveries, prematurity, and low CD4 cell count were most strongly associated with infants infection status in univariate analyses .Children delivered vaginally or by emergency caesarean section were more likely to be infected than those delivered by elective caesarean section, with a reduction in risk of 79% associated with the latter (P<0.001).Similarly, infants delivered before 37 weeks were more than twice as likely to be infected than infants who were not premature.Caesarean section before onset of labour and rupture of membranes approximately halves the risk of mother-to-child transmission.Transmission rate:During pregnancy: 5-10%During labour and delivery:10-15%During breastfeeding:5-20%Overall without breastfeeding:15-25%Overall with breastfeeding to six months:20-35%Overall with breastfeeding to 18-24 months:30-45%